Most common cause of hirsutism in a teenage girl:
1. Ovarian disease
2. Pheochromocytoma
3. Obesity
4. Adrenogenital syndrome

Correct answer: 1. Ovarian disease

Explanation: As explained earlier PCOD is the most common cause of hirsutism.
PCOD most common affects teenage girls (15–25 years). Therefore, In teenage girls most common cause of hirsutism is PCOD.